Very often the first indication a woman has that she is pregnant is a missed menstrual period. In which week of embryonic development will a woman experience her first missed menstrual period?
1. Start of week 3
2. Start of week 4
3. Start of week 5
4. Start of week 6

Correct answer: 1. Start of week 3

Explanation: Fertilization of ovum takes place on day-15 of menstrual cycle. woman notices missing of next menstrual period from day1- day5 if implantation takes place. That day corresponds to start of 3rd week of embryonic development ( day15-day28-day1-5 of next cycle= >14 days)